SIADH is associated with the following drug -
1. Vincristine
2. Erythromycin
3. 5 - FU
4. Methotrexate

Correct answer: 1. Vincristine